Butt joint is seen in:
1. 80%
2. 50%
3. 20%
4. 30%

Correct answer: 4. 30%

Explanation: Similarly gap joint at CEJ is seen in 10% of cases.